Diabetes melitus is diagnosed if fasting blood glucose is ?
1. >100
2. >126
3. >110
4. >116

Correct answer: 2. >126

Explanation: Criteria for the diagnosis of Diabetes mellitus : * Symptoms of diabetes plus random blood glucose concentration >= 11.1 mmol/L (200 mg/dL) or * Fasting plasma glucose >= 7.0 mm/L (126 mg/dL) or * Glycosylated haemoglobin >= 6.5% or * 2-hr plasma glucose >= 11.1 mmol/L (200 mg/dL) during an oral glucose tolerance test. Normal fasting blood glucose : 70-110 mg/dL Reference : page 2401 Harrison's Principles of Internal Medicine 19th edition